Fixed drug eruptions can be seen more frequently with –
1. Penicillin
2. Sulfonamide
3. Cetrizine
4. Roxithromycin

Correct answer: 2. Sulfonamide